Ground glass ventricular septum is seen in -
1. TOF
2. HOCM
3. TGA
4. CHF

Correct answer: 2. HOCM

Explanation: In HOCM there is ground glass interventricular septum.Egg on side appearance is seen in TGA. In TOF boot shaped heart is seen